Impoence of phosphotidyl serin :
1. Apoptosis
2. Surfactant
3. 2nd messanger
4. All

Correct answer: 1. Apoptosis

Explanation: Phosphotidyl serin is usually present in the inner side of the membrane When it is exposed on the outside of the membrane it mediates apoptosis by "eat me" signels mediated by annexin 5